A woman presents with amenorrhoea of 2 months duration; lower abdominal pain, facial pallor, fainting duration; lower abdominal pain, facial pallor, fainting
1. Ruptured ovarian cyst
2. Ruptured ectopic pregnancy
3. Threatened abortion
4. Septic abortion

Correct answer: 2. Ruptured ectopic pregnancy